A young male after sudden unconsciousness following an episode of seizure, on awakening, finds that both of his arms were adducted and internally rotated. The most probable diagnosis is:
1. Anterior dislocation
2. Posterior dislocation
3. Greater tuberosity fracture
4. Rotator cuff injury

Correct answer: 2. Posterior dislocation

Explanation: Ans. b. Posterior dislocation (Ref: Cambell's Operative Orthopedics 10/Vol-III/3205-3207)Posterior Dislocation of Shoulder is caused by indirect force producing marked internal rotation and adduction, most commonly during a fit, convulsions or an electric shock.Posterior Dislocation of ShoulderMechanism of injury:Indirect force producing marked internal rotation and adductionQ, most commonly during a fit, convulsions or an electric shockQClinical Presentation:Diagnosis is frequently missedQ, patient may have normal contour of shoulderThe classical clinical feature is arm is held in medial rotation and is locked in that positionQ and the examiner cannot externally rotate it.Diagnosis:X-Ray: Due to medial rotation, head looks abnormal (electric bulb sign)Q and it stands away somewhat from glenoid fossa (empty glenoid sign)Q